A patient presents with pain and tenderness in left iliac fossa. USG shows a 3 cm stone in the renal pelvis without any hydronephrosis. Most appropriate management is:
1. PCNL
2. ESWL
3. Diuretics
4. Medical dissolution therapy with potassium citrate

Correct answer: 1. PCNL